A 30 year old female is diagnosed with cervical intraepithelial neoplasia associated with a previous viral infection. Which of the following viral products are implicated in producing this type of dysplasia?
1. EBNA proteins
2. E1A and E1B proteins
3. E6 and E7 proteins
4. Large tumor antigen

Correct answer: 3. E6 and E7 proteins

Explanation: Cervical intraepithelial neoplasia (CIN) is associated with human papilloma virus (HPV) infection, particularly types 16 or 18. These papillomaviruses produce E6 and E7 proteins, which induce the expression of cellular p53 and p110Rb oncogenes, respectively. EBNA proteins are produced by the Epstein-Barr virus and are associated with hepatocellular carcinoma, Burkitt's lymphoma, and carcinoma of the nasopharynx. E1A and E1B proteins are produced by adenoviruses 12, 18, and 31. They also bind to the p53 and p110Rb oncogenes, respectively. Large tumor antigen is produced by simian virus 40 (SV40), a papovavirus found in monkeys that is known to produce sarcoma in laboratory hamsters. Ref: Ray C.G., Ryan K.J. (2010). Chapter 19. Papilloma and Polyoma Viruses. In C.G. Ray, K.J. Ryan (Eds), Sherris Medical Microbiology, 5e.